Pneumatocele is caused by –
1. Staphylococcus
2. Streptococcus
3. Streptococcus pneumoniae
4. P. carnii

Correct answer: 1. Staphylococcus

Explanation: Pneumatoceles

These are multiple thin walled air containing cysts.
Staphylococcus aureus is the most common organism causing pneumatoceles and pneumatoceles are considered pathognomonic of staphylococcal pneumonia.
E.coli and klebsiella pneumonia may have pneumatoceles. __ O.P. Ghai 6th /e 350